All of the following diuretics acts from luminal side of renal tubules except:
1. Loop diuretics
2. ENAC  blockers
3. Aldosterone antagonists
4. Mannitol

Correct answer: 3. Aldosterone antagonists

Explanation: Aldosterone receptor antagonists acts from interstitial side.